10 years old child with 10 days continuous fever with soft, enlarged spleen, diagnosis is-
1. Enteric fever
2. Malarial
3. Hodgkins disease
4. Meningitis

Correct answer: 1. Enteric fever

Explanation: Ans. is 'a' i.e., Enteric fever In malaria there is no continuous fever for 10 days and In meningitis there is no splenomegaly.